Which one is not a feature of Leriches syndrome
1. Absent femoral pulse
2. Gluteal claudication
3. Continuous bruit over abdominal aorta
4. Impotence

Correct answer: 3. Continuous bruit over abdominal aorta